A gingival wall is difficult to obtain in primary molar
when it extends too far gingivally in class II cavities
because
1. Facial pulp horn may be exposed
2. b) Inclination of cervical enamel rods occlusally
3. Of marked cervical constriction
4. Prime contact is broad and flat

Correct answer: 3. Of marked cervical constriction